Ascending UTI caused by -
1. Salmonella
2. T.B.
3. E.coli
4. All

Correct answer: 3. E.coli

Explanation: Ans. is 'c' i.e., E.coli Urinary tract infection . In the vast majority of UTIs, bacteria gain access to the bladder urethra. Ascent of bacteria from bladder may follow and is the pathway for most renal parenchymal infections. . Organisms are ? - E.coli (most common) - Serratia - N. gonorrhoea - Proteus - Pseudomonas - Herpes simplex virus - Klebsiella - Chlamydia trachomatis - S. saprophyticus . Hematogenous spread causing UTI by - Staph aureus - Candiada